Skin biopsy in leprosy is characterized by –
1. Periappendgeal bacilli
2. Periappendgeal lymphocytosis
3. Perivascular lymphocytosis
4. All of the above

Correct answer: 4. All of the above

Explanation: In indeterminate leprosy, there is perivascular and Periappendageal infiltrate of lymphocytes.
In lepromatous leprosy large number of lepra bacill are seen in dermal infiltrate around appendages (periappandgeal).